All of the following are complications of TPN except
1. Volume overload
2. Hypokalemia
3. Metabolic acidosis
4. Hypochloremia

Correct answer: 4. Hypochloremia

Explanation: Due to total Parental nutrition, hyperchloremic metabolic acidosis occurs not hypochloremia.